Which is not true about aspergillosis
1. Aspergillus niger is the commonest cause of fungal otitis externa
2. It is highly contagious
3. Aspergilloma is common in preexisting TB, or cystic disease
4. Aspergillus fumigatus is cause of bronchus aspergillosis

Correct answer: 2. It is highly contagious